A 21-year-old woman walks in with a shoulder and arm injury after falling during horseback riding. Examination indicates that she cannot adduct her arm because of paralysis of which of the following muscles?
1. Teres minor
2. Supraspinatus
3. Latissimus dorsi
4. Infraspinatus

Correct answer: 3. Latissimus dorsi

Explanation: Muscle Action latissimus dorsi adducts the arm supraspinatus abducts the arm infraspinatus and the teres minor rotate the arm laterally serratus anterior rotates the glenoid cavity of the scapula upward, abducts the arm, and elevates it above a horizontal position